All the following are criteria for diagnosing severe aplastic anemia except:
1. BM cellularity <25%
2. Reticulocyte <1%
3. Platelet <20k
4. ANC<1500

Correct answer: 4. ANC<1500

Explanation: D i.e. ANC <1500Ref: WHO, Hematopoietic System, page 221Explanation:Criteria for Aplastic Anemia (ASH)ClassificationCriteriaSevereBM cellularity <25% (or<50%if <30% of BM is hematopoietic cells) AND >2 of the following:* Peripheral blood neutrophil count <0.5x109/L* Peripheral blood platelet count <20x109/L* Peripheral blood reticulocyte count <20x109/LVery severeAs above, but peripheral blood neutrophil count must be <0.2x109/LNon-severeHypocellullar BM with peripheral blood values not meeting criteria for severe aplastic anemia